The clinical findings differentiating ophthalmic artery occlusion from central Retinal artery occlusion is
1. Sudden painless loss of vision
2. Box carring of vessels
3. Area of retinal whitening
4. Absence of cherry red spot

Correct answer: 4. Absence of cherry red spot

Explanation: Within a few hours of CRAO the retina loses its transparency, becoming opaque and milky-white, especially in the neighbourhood of the disc and macula. At the fovea centralis, where the retina is extremely thin, the red reflex from the choroid is visible and appears as a round cherry-red spot, presenting a strong contrast to the cloudy white background. As choroid derives its blood supply from the ophthalmic artery, in ophthalmic artery occlusion even choroidal circulation is affected and hence a cherry-red spot is not clearly visible